Absolute contraindications for HSG are all except
1. Pregnancy
2. Pelvic inflammatory disease
3. Mullerian anomalies
4. Genital tuberculosis

Correct answer: 3. Mullerian anomalies

Explanation: Absolute contraindication for HSG are

Genital TB
Pelvic inflammatory disease
Pregnancy
Allergy to dye.